Which of the following statement is not true regarding NK cells
1. NK cells have CD markers 16, 56
2. They mediate antibody dependent cell mediated cytotoxicity
3. They are MHC I restricted
4. Reduced expression of MHC Class I moleules favours cytotoxicity of NK cells.

Correct answer: 3. They are MHC I restricted

Explanation: NK cells are not MHC restricted.